Dose of which of the following muscle relaxant has to be calculated on the basis of total body weight of an obese person rather than its ideal weight
1. Atracurium
2. Vecuronium
3. Pancuronium
4. Rocuronium

Correct answer: 1. Atracurium

Explanation: Ans. a. Atracurium